Metcalfe's Criteria is used for:
1. Assessing risk of maternal mortality in pregnancy
2. Grading congenital valvular heart diseases in pregnancy
3. Findings suggestive of heart disease in pregnancy
4. Classifying various cardiomyopathies

Correct answer: 3. Findings suggestive of heart disease in pregnancy

Explanation: Metcalfe's Criteria for Heart Disease in Pregnancy (Finding Suggestive of Heart Disease in Pregnancy) Symptoms Progressive dyspnea or orthopnea Nocturnal cough Hemoptysis Syncope Chest pain Clinical Findings Cyanosis Clubbing of fingers Persistent neck vein distention Systolic murmur grade 3/6 or greater Diastolic murmur Cardiomegaly Persistent split-second sound Criteria for pulmonary hypertension Persistent arrhythmias Atrial and ventricular premature contractions, 15deg Left Axis Deviation and mild ST changes in inferior leads are considered normal during pregnancy.